Decidua in puerperium is normally shed as :
1. Decidual cast
2. Lochia
3. Placental remnants
4. Clots

Correct answer: 2. Lochia

Explanation: Lochia